Contrast media of choice for myelogram is –
1. Urografin 75%
2. Conray 470
3. Iohexol
4. Biligrafin

Correct answer: 3. Iohexol

Explanation: "As iohexol and iopamidol, are associated with significantly fewer side effects than metrizamide and are the current contrast agents of choice".